The commonest feature in Poncet's disease is?
1. Joint pains
2. Hemoptysis
3. Headache
4. Vascular collapse

Correct answer: 1. Joint pains

Explanation: Ans. A. Joint painsPoncet's disease, is a reactive symmetric form of polyarthritis that affects persons with visceral or disseminated tuberculosis. No mycobacteria are found in the joints, and symptoms resolve with antituberculous therapy.